All of the following molecules, without further metabolism, can cross the inner membrane of functioning mitochondria, EXCEPT:
1. ATP
2. Acetyl CoA
3. Inorganic phosphate
4. Pyruvate

Correct answer: 2. Acetyl CoA

Explanation: The size and the charge on CoA derivatives prevents their transport. Thus the cell has two pools of CoA derivatives, cytoplasmic and mitochondrial.